Conversion of normal cell into their tombstones is the hallmark of:
1. Coagulative necrosis.
2. Liquefaction necrosis.
3. Caseous necrosis.
4. Gangrenous necrosis.

Correct answer: 1. Coagulative necrosis.